Best method to reduce radiation caries is:
1. 1% neutral sodium fluoride.
2. 2% neutral sodium fluoride.
3. 0.5% neutral sodium fluoride.
4. All of the above

Correct answer: 1. 1% neutral sodium fluoride.

Explanation: The best method to reduce radiation caries is application of viscous 1% neutral sodium fluoride gel at regular intervals.